The relation of fetal axis with uterine axis is known as
1. Attitude
2. Lie
3. Presentation
4. Position

Correct answer: 2. Lie

Explanation: Ans. b (Lie). (Ref. Dutta, Obstetrics 4th ed.78, William's Obst 21st ed.- 291)TermDefinitionLieRelationship of the long axis of the fetus to the long axis of centralized uterus or maternal spine. The commonest being longitudinal.PresentationPart of fetus which occupies lower pole of uterus.Presenting partPart of presentation which overlies internal os.AttitudeRelationship of different parts of fetus to one another.DenominatorArbitrary bony fixed point on the presenting part which comes in relation with various quadrants of maternal pelvis.PositionRelation of denominator to different quadrants of pelvis.